Hemodialysis may be used for each of the following poisonings Except
1. Kerosene oil
2. Barbiturates
3. Alcohol
4. Lithium

Correct answer: 1. Kerosene oil

Explanation: A few toxins can be removed effectively by dialysis. These include phenobarbital, salicylates, theophylline, methanol, quinine, and lithium **The drug should be readily available in blood for it to be filtered. Ie, Volume of distribution should be low Examples of drugs with large volumes of distribution (> 5 L/kg) include antidepressants, antipsychotics, antimalarials, opioids, propranolol, and verapamil. Drugs with a relatively small V (< 1 L/kg) include salicylate, ethanol, phenobarbital, lithium, valproic acid, and phenytoin Ref - Krishan Vij textbook of forensic medicine pg:451 Katzung 13e pg:1001